Which of the following is TRUE about cadaveric lividity?
1. It occurs only in the dependent parts
2. It occurs only upto 3-4 hours after death
3. It occurs due to dilatation of arterioles
4. All these

Correct answer: 1. It occurs only in the dependent parts

Explanation: Cadaveric lividity is the bluish-purple or purplish-red discolouration which appears under the skin in the most superficial layers of the dermis (rete mucosum) of the dependent parts of the body after death, due to capillo-venous distention. It is well developed within four hours and reaches a maximum between 6 to 12 hours and persists until putrefaction sets in. Ref: Essentials of Forensic Medicine and Toxicology by Narayan Reddy, 27th edition, Page 136-137.